Which of the following shows deposition of IgA in dennal papilla -
1. Dermatitis herpetiformis
2. IgA papillomatosis of childhood
3. Bullous pemphigoid
4. Gestational herpes

Correct answer: 1. Dermatitis herpetiformis

Explanation: Dermatitis herpetiformis Immtmopathological appearance of vesicobullous disorders-* Bullous pemphigoid - Linear band of IgG or C3 in epidermal basement membrane* Pemphigus vulgaris Cell surface deposits of IgG on keratinocytes* Pemphigus foliaceous - Cell surface deposits of IgG on keratinocytes* Pemphigoid gesta tionis Linear band of C3 in epidermal basement membrane zone* Dermatitis herpeteformis - Granular deposits of IgA in dermal papillae* Chronic bullous dise ase of childhood - IgA deposits along the dermoepidermal junction* Linear IgA dennatosis of adults Linear deposits of IgA at dermoepidermal junction